Black gunpowder contains all of the following, except:
1. Potassium nitrate
2. Lead peroxide
3. Charcoal
4. Sulfur

Correct answer: 2. Lead peroxide

Explanation: Ans. Lead peroxide